Safe disposal of mercury is –
1. Collect carefully and recycle
2. Controlled combustion
3. Treatment with chemicals
4. Deep burial

Correct answer: 1. Collect carefully and recycle

Explanation: All mercury and mercury-containing items should be recycled.
It should never be poured down a drain or sewer, flushed down a toilet, or thrown in the thrash.
As long as mercury is recycled, it will stay in the recycling loop, going into new products rather than into the environment.